The laryngoscope shall be held in which hand by a right handed person for the purpose of intubation?
1. Right hand
2. Left hand
3. Either
4. Neither

Correct answer: 2. Left hand

Explanation: Ans. b. Left hand (Ref: style="font-size: 1.04761904761905em; font-family: Times New Roman, Times, serif">l)The laryngoscope should be held in left hand by a right-handed person, for the purpose of intubation."Laryngoscope used for intubation is also called as Macintosch's laryngoscope. It has to be held in the anesthetist's or surgeon's left hand for purpose of intubation so that the endotracheal tube can be held in right hand to insert in in trachea Dexterity of surgeon or anesthetist does not matter in conventional laryngoscope as the curvature of blade is in such a manner that it has to be held in left hand.""Laryngoscopes are a left-handed instrument, with the operators right hand used to pass the tube. Ever since the early pioneers described the procedure it was appreciated that tongue displacement to one side would facilitate reaching the larynx. Since an operator would want their dominant hand free for instrumentation, the laryngoscope became, by default, a left-handed instrument (appropriate since 85% of the population is right hand dominant)."- http://www.airwaycam.com/laryngoscope-blade-design.html